"Indifferent fibres" are
1. Elastic fibres
2. Oxytalan fibres
3. Collagen fibres
4. None of the above

Correct answer: 3. Collagen fibres